As per the Central Birth and Death Registration act, a birth should be registered within:
1. 7 days
2. 10 days
3. 14 days
4. 21 days

Correct answer: 4. 21 days

Explanation: been changed as per "THE REGISTRATION OF BIRTHS AND DEATHS(AMENDMENT) BILL, 2012 A BILL further to amend the Registration of Births and Deaths Act, 1969" Ref: Park, 21st Edition, Page 779